American Society of Anaesthesiology (ASA) classification is done for:
1. Pain
2. Fitness/ status of patient
3. Lung disease
4. All of the above

Correct answer: 2. Fitness/ status of patient

Explanation: Ans. B i.e. Fitness/ status of the patient